All are true in megaloblastic anaemia except:
1. Microcytes
2. Megakaryocytes
3. Decrease in platelets
4. Neurological symptoms

Correct answer: 1. Microcytes

Explanation: Ans: a (Microcytes)Ref: Robbin's, 7th ed, p. 638, 639 & p. 642 for d & 6th ed, p. 622 for b 623 for c p. 624 for d. Also see Harrison, 16llled, p. 605, 606 & 15th ed, p. 679